Intake of which of the following leads to increased incidence of dry socket
1. Antihypertensives
2. Antiepileptics
3. Oral hypoglycemics
4. Oral contraceptives

Correct answer: 4. Oral contraceptives